Among the following, the structure that is most calcified is
1. Enamel lamella
2. Enamel rod
3. Enamel spindle
4. Enamel tuft

Correct answer: 2. Enamel rod